True for Babinski sign is?
1. Present in LMA lesion
2. Is a sign of extrapyramidal diseases
3. Classic response is plantar flexion of great toe
4. Normal in children upto 2 years

Correct answer: 4. Normal in children upto 2 years

Explanation: * *Seen in UMN lesion,normal response is flexible of great toe with flexible of the other toes. Normal in children up to 2yrs later disappears. Ref Harrison20th edition pg 2234